Recurrent intussusception occurs in about:
1. <1%
2. 1-5%
3. 5-10%
4. 10-20%

Correct answer: 3. 5-10%

Explanation: Recurrent intussusception occurs in 5 to 10% of patients, independent of whether the bowel is reduced radiographically or surgically. Ref: Schwartz's principle of surgery 9th edition, chapter 39.